All are true about anaplastic carcinoma thyroid, except:
1. Local infiltration
2. Highly chemosensitive
3. Surgery is of limited value
4. Spread by lymphatic route

Correct answer: 2. Highly chemosensitive

Explanation: Anaplastic carcinoma: - Local infiltration is the notorious feature of this carcinoma. - Survival rarely exceeds 6 months. - There is no evidence to support chemotherapy in this cancer. - Radiotherapy is given. Ref: Bailey & Love, 25th Edition, Page 794.